The Non-REM (NREM) sleep is commonly associated with:
1. Frequent dreaming
2. Frequent penile erections
3. Increased blood pressure
4. Night terrors

Correct answer: 4. Night terrors

Explanation: Ans. D i.e. Night terrorsSleepAlpha waves: Eyes closed and mind wanderingNight terrors are seen in: NREM sleepSleep walking/ somnabulism is seen in: NREM sleep (stage 3/4)Sleep terror/pavor nocturnus:-- Seen in NREM sleep (stage 3/4)-- Treated by diazepam